Klinefelter syndrome is:
1. 45XO
2. 46XY
3. 45XY
4. 47XXY

Correct answer: 4. 47XXY

Explanation: Ans. 47XXY